The periodontal ligament in the region of permanent mandibular canine tends to become thinner with age, due to:
1. Cementum and bone deposition.
2. Down growths of gingival epithelium.
3. Degeneration of cell rests of mallassazes.
4. Horizontal and oblique fibres reversing function with age.

Correct answer: 1. Cementum and bone deposition.